Cobble stone appearance is seen in
1. Ulcerative colitis
2. Crohn's disease
3. Appendicitis
4. Carcinoma rectum

Correct answer: 2. Crohn's disease

Explanation: .in crohn's disease,Fibrosis, stricture formation, deep ulcers, oedema of mucosa between ulcer areas which looks like 'cobble stone', skipped normal areas in between, serosal opacity, mesen-teric fat stranding, enlarged mesenteric lymph nodes, abscesses in the mesentery, fistula are the pathology. Small mucosal aphthous ulcers are earliest gross feature. ref:SRB's manual of surgery,ed 3,pg no 800